Treatment of choice for ZES :
1. PPI
2. Somatostatin analogues
3. Streptozocin
4. Sucralfate

Correct answer: 1. PPI

Explanation: Answer is A (PPI) PPIs are the treatment of choice for Zollinger - Ellison Syndrome and have decreased the need for total gastrectomy. -